Which of the following antiepileptic agents acts on the GABAergic system to decrease the uptake of GABA into neurons and glial cells ?
1. Vigabatrin
2. Progabide
3. Gabapentin
4. Tiagabine

Correct answer: 4. Tiagabine